A study is conducted to assess the risk of acquiring a severely debilitating disease over a 1- year study period. Only males are susceptible to the disease, which can be diagnosed using 4 basic clinical criteria. In a population of 100,000 people. 10 men met all the criteria. An additional 90 men demonstrated mild symptoms but failed to meet the full criteria. 
Assuming a male:female ratio of 1:1 in this population, which of the following is the male risk of being diagnosed with this disease?
1. 0.01%
2. 0.02%
3. 0.20%
4. 0.40%

Correct answer: 2. 0.02%